In glycogenolysis, adrenaline acts on
1. Glucokinase
2. Hexokinase
3. Phosphorylase
4. None of the above

Correct answer: 3. Phosphorylase

Explanation: Regulation of glycogen degradation by cAMP: The hormones like epinephrine and glucagon bring about glycogenolysis by their action on glycogen phosphorylase through cAMP. Glycogen phosphorylase exists in two forms, an active 'a' form and inactive form'b'.